The extraoral X-ray view required for a fracture of mandible is:
1. Submentovertex
2. Posterioanterior
3. Water's
4. Towne's

Correct answer: 2. Posterioanterior